Inguinal hernia with hydrococle is know as
1. Gibbon's hernia
2. Pantalan's hernia
3. Sliding hernia
4. Norath's hernia

Correct answer: 1. Gibbon's hernia